Exaltation is defined as -
1. Decreased virulence
2. Increased virulence
3. No change
4. None

Correct answer: 2. Increased virulence

Explanation: The virulence of a strain is not constant and may undergo spontaneous or induced variations. Enhancement of virulence is known as exaltation Ref Ananthanarayan & paniker's Textbook of Microbiology 9th edition pg no 74